The following monoclonal antibody is directed against alpha 4 integrin?
1. Efalizumab
2. Natalizumab
3. Ibalizumab
4. Toclizumab

Correct answer: 2. Natalizumab

Explanation: NatalizumabNatalizumab is a humanized IgG4 monoclonal antibody that binds to the a4-subunit of a4b1 and a4b7 integrins expressed on the surfaces of all leukocytes except neutrophils and inhibits the a4-mediated adhesion of leukocytes to their cognate receptor. It is indicated for patients with multiple sclerosis and Crohn's disease who have not tolerated or had inadequate responses to conventional treatments.Ref: Katzung 13th ed.pg 993.